Which investigation is not required in diagnosis of Achalasia?
1. Esophageal manometry
2. Barium swallow
3. Anti-neuronal antibodies
4. Enterocylsis

Correct answer: 4. Enterocylsis

Explanation: Investigation Diagnosis CTchest Pseudoachalasia Endoscopic Ultrasound Pseudoachalasia Anti-neuronal antibodies Para neoplastic manifestation Enterocylsis Study small bowel using contrast study